Which of the following prostaglandin analogue is used for treatment of primary open angle glaucoma?
1. PG12
2. PG D2
3. PGE2
4. PG F2alpha

Correct answer: 4. PG F2alpha

Explanation: DRUG ANALOGUE OF USE AND ROUTE Misoprostol PGE1 Abortion (oral) NSAID induced ulcer (oral) Cervical ripening (intravaginal) Alprostadil PGE1 Impotence (intrapenile) To maintain patency of ductus arteriosus (i.v.) Dinoprostone PGE2 Induction of labour (intravaginal) Carboprost PGF2a Post partum hemorrhage (i.m.) Dinoprost PGF2a Abortion (intra-amniotic) Latanoprost PGF2a Open angle glaucoma (eye drops) Iloprost PGI2 Pulmonary hypertension (inhalational) Epoprostinol PGI2 Pulmonary hypertension (i.v.)